Incidence of infertility isin reproductive age couples ?
1. 0-5 %
2. 5-10%
3. 10-20 %
4. 25-30%

Correct answer: 3. 10-20 %

Explanation: Ans: C. 10-20 %Infertility is defined as the failure to conceive after one year of regular unprotected intercourse.Incidence10-20% of reproductive ages couples.